Drug for long term treatment of partial seizure is?
1. Valproate
2. Carbamazepine
3. Eptoin
4. Phenobarbitone

Correct answer: 2. Carbamazepine

Explanation: Ans. is 'b' i.e., Carbamazepine Carbamazepine is effective drug for long term treatment of GTcs & partial seizure advantage being furious side effect. Does of CBZ is 10-30 mg/kg/day in 2-3 divided doses. Phenobarbitone : Used in GTCS type below 1 year of age Because of development of hyperkinesia & learing disabilities after 1st year of life should be avoided prolonge period. Eption : Maintain prolongs seizure effect Very cheap Used in GTCS & partial seizure. Valproate : Useful in GTCS, absence, myoclonic, partial and akinetic seizure.